Most important receptor involved in chemotherapy induced vomiting is :
1. Histamine H1 receptor
2. Serotonin 5–HT3 receptor
3. Dopamine D2 receptor
4. Opioid µ receptor

Correct answer: 2. Serotonin 5–HT3 receptor